Which of the following is not supplied by secretomotor fibre of facial nerve?
1. Lacrimal gland
2. Parotid gland
3. Submandibular gland
4. Nasal glands

Correct answer: 2. Parotid gland

Explanation: General visceral efferent fibres of the facial nerve are preganglionic parasympathetic fibres that arise from lacrimatory and superior salivatory nuclei in the brainstem.They supply the secretomotor fibres to lacrimal, submandibular and sublingual glands. Secretomotor fibres to the parotid gland are the auriculotemporal nerve. Reference: Textbook of anatomy, Head, neck and brain, Vishram Singh, 2nd edition, page no.341,142